Which part of the spine is most commonly affected in Rheumatoid arthritis?
1. Cervical
2. Lumbar
3. Thoracic
4. Sacral

Correct answer: 1. Cervical

Explanation: Cervical spine is most commonly affected in Rheumatoid arthritis Atlantoaxial involvement of the cervical spine is clinically noteworthy because of its potential to cause compressive myelopathy and neurologic dysfunction. Neurologic manifestations are rarely a presenting sign or symptom of atlantoaxial disease, but they may evolve over time with progressive instability of C1 on C2.